Pugilistic attitude is seen in:
1. Drowning
2. Burns
3. Lightening
4. Hanging

Correct answer: 2. Burns

Explanation: Ans. (b) BurnsRef: The Essentials ofFSM by K.S. Narayan Reddy 31st ed. / 299* Pugilistic attitude is seen in case of burns.* It is also known as Boxing or fencing attitude.* Pugilistic attitude is due to coagulation of proteins other than those affected by rigor mortis.* It is seen in both antemortem as well as postmortem burns.Also know* Most common finding of antemortem drowning: Clenched Fist.* In case of Lightning: Branching tree pattern seen.